Leishmania is cultured in ..... ...media?
1. Chocolate agar
2. NNN
3. Tellurite
4. Sabourauds

Correct answer: 2. NNN

Explanation: Ans. is 'b' i.e., N.N.N. . L. donovani can be cultured in N.N.N. (Novy, Macneal and Nicolle) medium. . In N.N.N. medium amastigote form changes into promastigote form.